S.N.A. angle describes the relationship of the:
1. Maxilla to the cranial base
2. Mandible to the cranial base
3. Maxilla to mandible
4. Maxilla to the upper incisors

Correct answer: 1. Maxilla to the cranial base